Antinuclear antibody specific for SLE is
1. Anti ds DNA
2. Anti nuclear antibodies
3. Anti centromere antibody
4. Anti histone Ab

Correct answer: 1. Anti ds DNA

Explanation: Systemic lupus erythematosus (SLE) is a multisystem autoimmunedisease of protean manifestations and variableclinical behavior. Clinically, it is an unpredictable, remittingand relapsing disease of acute or insidious onset thatmay involve virtually any organ in the body; however, itaffects principally the skin, kidneys, serosal membranes,joints, and heart.Antibodies to doublestranded DNA (dsDNA) and the so-called Smith (Sm) antigen can be detected by ELISA or multiplex flow methods and are specific for SLE.Robbins Basic pathology,9th edition,pg no.127